A patient has been seeking repeated admissions in various hospitals with a variety of symptoms. He had undergone appendicectomy, cholecystectomy, and other exploratory laparotomies on previous admissions. The most likely diagnosis is -
1. Conversion reaction
2. Hypochondriasis
3. Munchausen syndrome
4. Ganser 's syndrome

Correct answer: 3. Munchausen syndrome